Not True about Pinna of the Ear
1. Develops from HILLOCK's of HIS
2. Tragus formed from 1st Hillock
3. Costal Rib Cartilage used as graft in treatment of Anotia
4. Reconstruction of pinna in Anotia is done as soon as possible within 1 year of age

Correct answer: 4. Reconstruction of pinna in Anotia is done as soon as possible within 1 year of age

Explanation: Reconstruction of pinna done at 6 years of age.